Granular layer is absent in
1. Epidermolytic hyperkeratosis
2. Lamellar ichthyosis
3. Ichtyosis vulgaris
4. X linked ichtyosis

Correct answer: 3. Ichtyosis vulgaris

Explanation: Granular layer is characteristically absent in ichthyosis vulgaris. iadvl textbook of dermatology page 700